Cocaine withdrawal causes all except ?
1. Dysphoria
2. Fatigue
3. Disturbed sleep
4. Creeping bugs

Correct answer: 4. Creeping bugs

Explanation: Ans. is 'd' i.e., Creeping bugs Patients withdrawing from cocaine typically experience fatigue, dysphoria, diurbed sleep, and some craving; some may experience depression".___________ Kaplan & Saddock. o Creeping bugs are seen in chronic cocaine abuse (not due to withdrawal). Cocaine Cocaine is an alkaloid derived from the Coca bush, Erythrexylum CoCa. It was the first local anaesthetic which was used clinically. Toxicity of cocaine may be : ? A. Acute toxicity : - Acute cocaine intoxication is characterized by : ? Sympathetic hyperactivity : - Tachycardia, hypertension, mydriasis, sweating, nausea & vomiting. Hypoinanic state : - Increased psychomotor activity, grandiosity, elation, hypervigilance, Increased speech output. B. Chronic overuse : - Chronic overuse can cause : ? Psychotic episodes (Cocaine psychosis) : Persecutory delusions with tactile hallucinations (formination). Tactile hallucinations are manifested as bugs crawling under the skin --) Cocaine bugs or magnan's symptoms. Other : - Anxiety reaction, compulsive behavior, delirium and delusional disorders. Black pigmentation of tongue and teeth.